Creamy white watery discharge with fishy odour from vagina along with minimal itching is due to:
1. Bacterial vaginosis
2. Gonorrhea
3. Trichomonas
4. Candida

Correct answer: 1. Bacterial vaginosis

Explanation: Bacteria Vaginosis MC Vaginitis Hemophilus vaginalis aka Gardenella vaginalis Fishy vaginal odor, Vaginal secretions are gray and thinly coat the vaginal walls Microscopy:- Clue cells-Vaginal epithelium with embeded bacteria No pruritus, The Whiff test- The addition of KOH to the vaginal secretions releases a amine like odor. Amsel's criteria is used for diagnosis Treatment: Metronidazole, Treat the woman(No sexual transmission)